DOC for chemoprophylaxis of plague ?
1. Streptomycin
2. Erythromycin
3. Tetracycline
4. Vancomycin

Correct answer: 3. Tetracycline

Explanation: Ans. is 'c' i.e., Tetracycline